Micro nodular cirrhosis is commonly seen in all except,
1. Chronic hepatitis B
2. Alcoholic liver disease
3. Hemochromatosis
4. Chronic extra hepatic biliary obstruction

Correct answer: 1. Chronic hepatitis B

Explanation: Ans. is 'a' i.e., Chronic hepatitis B Cirrhosis of the liver is a pathological entity which clinically represents the end stage of chronic liver disease.It is characterized by three features.Bridging fibrous septa Q in the form of delicate bands or broad scars linking portal tracts with one another and portal tracts with terminal hepatic veins.Parenchymal nodules Q containing proliferating hepatocytes encircled by fibrosis with diameters varying from very small to large. iii) Disruption of architecture of the entire liver.Cirrhosis is defined as micronodular or macronodular depending upon the size of parenchymal nodules Micronodular cirrhosis Q - Parenchymal nodules < 3 mm in size * Macronodular cirrhosis - Parenchymal nodules > 3 mm in size Viral hepatitis commonly causes macronodular cirrhosis Q.In viral hepatitis the cirrhosis is characterized by irregularly large sized nodules separated by variable but mostly broad scars.This pattern of cirrhosis is historically called postnecrotic cirrhosis Q.Postnecrotic cirrhosis is not only applied to viral hepatitis but to all forms of cirrhosis in which the liver shows large irregular sized macronodules with broad scars regardless of the etiology.Also remember theseAlcholic cirrhosis is typically micronodular Q, but can become macronodular in later stages.Viral cirrhosis is typically macronodular. Cirrhosis associated with virus is called postnecrotic cirrhosis. Postnecrotic cirrhosis is also called posthepatitis cirrhosis macronodular cirrhosis and coarsely nodular cirrhosis.Cirrhosis in hemochromatosis is typically micronodular (can be macronodular sometimes).Wilson's disease causes macronodular cirrhosis.Biliary cirrhosis whether primary or secondary is micronodular.